If you desire to study the incidence of diarrhea in a community which study method would you like to opt for
1. Cross-sectional study
2. Cohort study
3. Case control study
4. Double blind placebo study

Correct answer: 2. Cohort study

Explanation: The aim of study would be to find risk factors. It is a prospective study.In the cohort study, we can determine incidence rates.&;A well-designed cohort study is considered the most reliable means of showing an association between a suspected risk factor and subsequent disease"Park 23rd edition pg: 76